Number of beds in CHC is?
1. 20
2. 30
3. 40
4. 50

Correct answer: 2. 30

Explanation: ANSWER: (B) 30REF: Park's 20th ed p. 807Community health centre ( CHC):Population covered : 80000-120000Beds:30Specialities : general surgery , medicine , obstetrics and gynaecology , pediatricsFacilities : Xrays and laboratoryOther posts : community health officer (non medical post): should have experience of 7 years at a PHC or rural health programsPatients can be referred to medical colleges or state level hospitals directly from CHC.